A person on total parenteral nutrition was given 62.5 g of protein. Calculate the amount of nitrogen present in this amount of protein.
1. 32 g
2. 6.25 g
3. 10 g
4. 100 g

Correct answer: 3. 10 g

Explanation: Approximately, Nitrogen contributes to 16% of proteins 100 gm of protein contains 16 gm of nitrogen. So, 62.5 gm of protein will contain, 62.5 X 16/100 gm of nitrogen, i.e. 10 gm of nitrogen. Extra Edge: Formula for calculating the nitrogen balance of patients: Nitrogen balance = Nitrogen intake - Nitrogen loss = (Protein intake x 0.16) - (24-hour urinary urea nitrogen + 4) Why to add 4? 4 gm of nitrogen is lost through other sources.